In a patient with AIDS chorioretinitis is typically caused
1. Cytomegalovirus
2. Toxoplasma gondii
3. Cryptococcus neoformans
4. Histoplasma capsulatum

Correct answer: 1. Cytomegalovirus

Explanation: A i.e. Cytomegalovirus CMV is the most common ocular infection Q as well as most common cause of retinitis in patient of AIDS Q. The classical forms of CMV retinitis is haemorrhagic type, which has been called "Crumbled cheese and ketchup" (sauce & cheese) Q or "pizza pie", appearance, brush fire appearanceQ and granular form.